Most common enzyme deficiency leading to childhood hypertension is -
1. 17-Alpha hydroxylase
2. 21-Beta hydroxylase
3. 11-Beta hydroxylase
4. All

Correct answer: 3. 11-Beta hydroxylase

Explanation: Ans. is 'c' i.e., 11-Beta hydroxylase o Salt retention and hypertension is seen in 17-a hydroxylase deficiency and I 1-p hydroxylase deficiency. 1 I -I hydroxylase deficiency is more common. 17-a hydroxylase deficiency is an uncommon form of congenital adrenal hyperplasia.